All are features of neonatal necrotizing enterocolitis except –
1. abdominal distension
2. Increased bowel sound
3. Metabolic acidosis
4. Pneumoperitoneum

Correct answer: 2. Increased bowel sound

Explanation: Bowel sounds are diminished or absent.